Direct procedure for fabrication of provisional restoration has a prime disadvantage of
1. Low strength
2. Time consuming
3. Tissue trauma
4. Difficult in retrieval

Correct answer: 3. Tissue trauma

Explanation: However, the direct technique has significant disadvantages: potential tissue trauma from the polymerizing resin and inherently poorer marginal fit.